Which of the following is false regarding deep 2nd degree burns:
1. Heal by scar deposition
2. Painless
3. Damage to deeper dermis
4. less blanching

Correct answer: 2. Painless

Explanation: Ans. B: Painless